Widening of the C loop in X-ray is diagnostic of:
1. Chronic pancreatitis
2. Carcinoma head of pancreas
3. Periampullary carcinoma
4. Calculi in the ampulla junction

Correct answer: 2. Carcinoma head of pancreas

Explanation: Ans. Carcinoma head of pancreas